Which of the following drug is a long-acting beta-2-agonist?
1. Albuterol
2. Salmeterol
3. Pirbuterol
4. Orciprenaline

Correct answer: 2. Salmeterol

Explanation: Salmeterol Long acting beta-2-agonist. Whereas others are all short-acting agents.